The most common pathogens responsible for nosocomial pneumonias in the ICU are:
1. Gram positive organisms
2. Gram negative organisms
3. Mycoplasma
4. Virus infections

Correct answer: 2. Gram negative organisms